Best bone of the following to assess the age of a person between 20-50 years is
1. Skull
2. Ribs
3. Sternum
4. Pubic symphysis

Correct answer: 4. Pubic symphysis

Explanation: Age changes at pubic symphysis The changes in the pubic symphysis are the best criteria to assess the age from third to fifth decade. The changes occurs on three components: dorsal surface, ventral surface, and margin. At the age of about 20 years, there is formation of horizontal ridges of bone on the articular surface which first starts on the upper portion of the ventral surface and extends to the dorsal surface. This is called billowing. At about 25-35 years, the surface becomes granular and the ventral nd dorsal margins are well defined. A rim formation starts from the dorsal surface extends to the ventral surface. At about 35 -45 years, the upper and lower end will be raised and also the ventral margin by bony extension which is called lipping and the beaded rim development will be complete on all around the margins of the articular surface. By 45-55 years, the beaded rim starts breaking. By 55-65 years the breakdown of the rim is more and by the end of seventh decade the breakdown of the rim will be complete. Ref: FORENSIC MEDICINE AND TOXICOLOGY Dr. PC IGNATIUS PAGE NO90